Normal anion gap metabolic acidosis is caused by -
1. Cholera
2. Starvation
3. Ethlene glycol poisoning
4. Lactic acidosis

Correct answer: 1. Cholera